Feature of osteoarthritis is
1. Heberden node
2. Increased ESR
3. Onycholysis
4. Z deformity

Correct answer: 1. Heberden node

Explanation: Joint involvement in OACommon joints: Knee, Hip, Spine (cervical, lumbosacral), Hand (PIP, DIP, first carpometacarpal), first tarsometatarsalUncommon joint: ShoulderSpared: Wrist, elbow, ankle, metacarpophalangealIn osteoarthritis of hand:Distal interphalangeal joint:- Heberden's nodeProximal interphalangeal joint: bouchard's node(Refer: Mohindra's Fundamentals of Orthopedics, 2nd edition, pg no. 88, 101, 127)